Normal platelet count is found in
1. Wiskott Aldrich syndrome
2. Henoch schonlein purpura
3. Immune thrombocytopenia
4. Dengue fever

Correct answer: 2. Henoch schonlein purpura

Explanation: Ref Robbins 9/e p526_527 ;8/e p666;7/e p986-987 All other options have decreased platelet count except henoch schonlein purpura .though it has the name purpura ,but the platelet count in this condition is normal.The skin manifestations in HSP are due to small vessel vasculitis